Cluster testing is done in -
1. Malaria
2. AIDS
3. TB
4. Pneumonia

Correct answer: 2. AIDS

Explanation: Ans. is 'b' i.e., AIDSo Case detection is an essential part of any control programme. The usual methods of early detection in a STD control programme are :ScreeningContact tracing: Sexual partners of diagnosed cases are identified, located, investigated and treated. It is one of the best method of controlling the spread of infection.Cluster testing : Screening of all persons of either sex, wrho move in the same socio-sexua! environment as the pateint.